Shine-Dalgarno sequence in bacterial mRNA is near:
1. AUG codon
2. UAA codon
3. UAG codon
4. UGA codon

Correct answer: 1. AUG codon

Explanation: Ans. A. AUG codon(Ref: Harper 31/e page 395)Shine Dalgarno sequence is the marker sequence. The first AUG codon after Shine Dalgarno sequence is the start codon in bacteria. Similarly in eukaryotes there is Kozak sequence.